Cerliponase alpha is?
1. Recombinant tripepetidyl peptidase 1(TPP-1)
2. Recombinant beta glucuronidase
3. NMDA receptor blocker
4. GLP analogue

Correct answer: 1. Recombinant tripepetidyl peptidase 1(TPP-1)

Explanation: CERLIPONASE ALPHA: a. Recombinant tripepetidyl peptidase 1(TPP-1) b. Used for infantile neuronal ceroid lipofuscinosis VESTRONIDASE ALPHA: Recombinant beta glucuronidase AMANTIDINE: a. NMDA receptor blocker b. Used for Levo-dopa induced dyskinesia